7 day old baby presented in emergency department with unconsciousness, cyanosis and 85% oxygen saturation. The diagnosis – a)  Tetralogy of fallotb)  TGAc)  TAPVCd)  PDA
1. a
2. bc
3. ac
4. ad

Correct answer: 2. bc

Explanation: This child has cyanosis at birth (within 7 days).
Congenital heart diseases which present with cyanosis at birth are : TGA, TAPVR, Tricuspid atresia, pulmonary atresia, Ebstein anomaly.
In TOF cyanosis usually presents after neonatal period (after 28 days).